Glucose absorption from the gut occurs by:
1. Simple diffusion
2. Facilitated diffusion
3. Primary active transport
4. Secondary active transport

Correct answer: 4. Secondary active transport

Explanation: Glucose absorption from the gut occurs as co-transport (secondary active transport) with Na+ transporter is SGLT-1 (sodium-glucose transporter). SGLT-1 is a symporter located on the luminal brush border of the enterocytes; it transports 2 Na+ for every molecule of monosaccharide (glucose/galactose). Glucose moves across the basolateral membrane into the blood by passive transport or facilitated diffusion GLUT-2 transporter.